All of the following muscles elevate scapula, EXCEPT?
1. Trapezius
2. Levator scapulae
3. Latissimus dorsi
4. Rhomboid major

Correct answer: 3. Latissimus dorsi

Explanation: The latissimus dorsi acts on the humerus causing powerful adduction, extension, and medial rotation of the arm.Superior fibers of the trapezius cause scapular elevation and upward rotation. Middle fibers causes scapular retraction. Inferior fibers causes scapular depression and upward rotation.The levator scapula muscle attaches to the cervical vertebrae and the superior angle of the scapula, causing elevation and downward rotation of the scapula.The rhomboid muscles attach to the spinous processes of C7-T5 and the medial border of the scapula, resulting in scapular retraction also also helps in elevation of scapula.